Pasteur effect is:
1. Inhibition of glycolysis
2. Oxygen is involved
3. Inhibition of enzyme phosphofructokinase
4. All of these

Correct answer: 4. All of these

Explanation: Ans. D. All of theseThe inhibition of glycolysis by oxygen is referred to as Pasteur effect. This is due to inhibition of the enzyme phosphofructokinase by ATP and citrate (formed in the presence of 02).